One of the following statements about succinylcholine is true:
1. It may induce life threatening hyperkalemia
2. It has a long duration of action
3. It is the drug of choice in non traumatic rhabdomyolysis
4. It is useful in patients with spinal cord injuries with paraplegia

Correct answer: 1. It may induce life threatening hyperkalemia

Explanation: SCh is the shortest and fastest acting muscle relaxant. SCh is contra-indicated in patients with nerve or muscle disorders due to the risk of hyperkalemia. Sch also increases all the pressures in body like intraocular, intracranial, blood pressure, so has to be avoided in patients with such precipitating conditions. Therefore, cannot be used in patients with the following diseases:- Nerve disorders:- Hemiplegia, paraplegia, Guillain Barre syndrome etc. Muscle diorders:- Myopathy, myasthenia gravis, rhabdomyolysis, crush injury etc. When used with halothane, it might cause Malignant Hyperthermia.